All about incidence are false, except :-
1. Not affected by duration
2. More than prevalence
3. Measures old and new cases
4. Used for chronic conditions

Correct answer: 1. Not affected by duration

Explanation: INCIDENCE Incidence is independent of duration of the disease . Incidence may be more or less or equal to prevalence. Incidence measures only the new cases. Incidence can be measured by cohort study. It is more suitable for measurement in acute conditions. Measures efficacy of preventive and therapeutic measures. Good indicator of efficacy of health programs. Incidence = x 1000 Prevalence = total number of cases / total population x 100